What is the first case of a particular condition that comes to notice of a physician termed as?
1. Primary case
2. Secondary case
3. Index case
4. Refer case

Correct answer: 3. Index case

Explanation: Index case is the first case that comes to the attention of the investigator. Case is defined as a person in the population or study group identified as having the particular disease, health disorder or condition under investigation. - Primary case: It is the first case of a communicable disease introduced into the population unit being studied. - Secondary case: are those developing from contact with a primary case.